A 67-year-old woman is evaluated for obstructive jaundice. The cholangiographic findings indicate that she has a cancer of the lower end of the CBD. Clinical examination would most likely reveal which of the following?
1. Enlarged gallbladder
2. Shrunken gallbladder
3. Enlarged pancreas
4. Shrunken pancreas

Correct answer: 1. Enlarged gallbladder

Explanation: The gallbladder is enlarged (Courvoisier's sign) in most cases of obstructive jaundice attributable to malignancy. In obstructive jaundice attributable to gallstones, the gallbladder is usually shrunken, owing to the previous inflammatory condition affecting the gallbladder.